Which is not a component of APGAR Score ?
1. Colour of the body
2. Muscle tone
3. Heart rate/minutes
4. Respiratory rate per minute

Correct answer: 4. Respiratory rate per minute

Explanation: Ans. is 'd' i.e., Respiratory rate/minute o Breathing effort (not respiratory rate) is used in APGAR score.